About scurvy true A/E –
1. Subperiosteal haematoma with tenderness
2. Separation of epiphysis
3. ↑ S. alkaline phosphatase
4. Gingival bleeding

Correct answer: 3. ↑ S. alkaline phosphatase

Explanation: SCURVY

Scurvy is a disease resulting from deficiency of Vitamin 'C', which is required for collegen synthesis.

Function of Vit C and pathophvsiologv of scurvy
1. Collegeiz synthesis

Vitamin C is essential for the hydroxylation of lysine and proline in collegen formation.
Collegen is a component of intracellular matrix of capillaries, bone & teeth.